Which one of the following chemical nature makes a better antigen?
1. Lipids
2. Nucleic acids
3. Polysachharides
4. Proteins

Correct answer: 4. Proteins

Explanation: Antigens are usually peptides, polysaccharides or lipids. In general, molecules other than peptides (saccharides and lipids) qualify as antigens but not as immunogens since they cannot elicit an immune response on their own. Ref: Ananthanarayan & Panikers textbook of microbiology 9th edition pg:88